Characteristic problem in females taking Norethisterone is :
1. Irregular bleeding
2. Thromboembolism
3. Hirsutism
4. Weight gain

Correct answer: 1. Irregular bleeding

Explanation: Ans. is a i.e. Irregular bleeding Nor-ethisterone acetate is commonly used as an injectable steroid - 'NET-EN' It is a progesterone based contraceptive like DMPA and its side effect are similar to those of DMPA. The most frequent side effect is irregular bleeding. NET-EN is given in doses of 200 mg at 2 monthly interval. Composition Features Lunelle/cyclofem 25mg DMPA + 5mg estradiol cypionate Mesigyna 4g 50 mg NET-EN + 5mg estradiol valerate ed - menstrual irregularities Rapidly reversible Monthly injection Inhibits lactation Rapid return of fertility Monthly injection same as lunelle Extra Edge : Combined injectable contraceptive.